In a contaminated, puctured wound of the leg of a non-immune child of 10, which one of the following measures would give the best protection against the development of tetanus -
1. Active immunization and antibiotics
2. Active immunization, antibotics and immobilisation
3. Active immunization, wound excision and primary closure
4. Active and passive immunization along with antibiotics

Correct answer: 4. Active and passive immunization along with antibiotics